Unsaturated fatty acids are synthesized in the
1. Plasma membrane
2. Endoplasmic reticulum
3. Cytosol
4. Golgi complex

Correct answer: 2. Endoplasmic reticulum

Explanation: Most of the activity of these enzymes in the biosynthesis of triacylglycerols resides in the endoplasmic reticulum, but some are found in mitochondria.Ref: Harper's Biochemistry; 30th edition; Chapter 24; Metabolism of Acylglycerols & Sphingolipids